All are used in bronchial asthma EXCEPT:
1. Salbutamol
2. Morphine
3. Aminophylline
4. Steroid

Correct answer: 2. Morphine

Explanation: Ans. B i.e. Morphine